Alpha fetoproteins are not increased in :
1. Spina bifida
2. Post maturity
3. Esophageal atresia
4. Anencephaly

Correct answer: 2. Post maturity

Explanation: Post maturity